First secondary ossification center appears in
1. Lower end of femur
2. Upper end of humerus
3. Lower end of fibula
4. Upper end of tibia

Correct answer: 1. Lower end of femur

Explanation: Ans. is 'a' i.e., Lower end of femur Site given in question Secondary ossification center appears at Lower end of femur 9th month intrauterine life Upper end of tibia At birth Upper end humerus 1/2 -1 year of age Lower end of fibula 1 year of age